All are true about Pthisis bulbi except
1. Size of eye decreases
2. Calcification occurs in Bowman's layer of cornea
3. IOP increases in later stages
4. Treatment is enucleation operation

Correct answer: 3. IOP increases in later stages

Explanation: IOP will not increase in Pthisis bulbi.